Which of the following tumor arise from the mesenchymal portion of the tooth germ, either from dental papilla,the follicle or the PDL:
1. Odontogenic myxoma.
2. Adenomatoid odontogenic tumor.
3. Pindborg tumor.
4. Ameloblastoma

Correct answer: 1. Odontogenic myxoma.